Objective of ETDRS study is
1. Effect of aspirin on the course of diabetic retinopathy
2. To observe patients with severe DR in type 1 and type 2 diabetes over 2 years to determine visual outcomes
3. To evaluate whether photocagulation prevents severe visual loss in eyes with diabetic retinopathy
4. ALL of the above

Correct answer: 1. Effect of aspirin on the course of diabetic retinopathy

Explanation: Option A - ETDRS study
Option C - DRS study
Option B - DRVS study